A young female presents with history of dyspnoea on exertion. On examination, she has wide, fixed split S. with ejection systolic murmur (TJIAT) in left second Intercostal space. Her EKGshows left axil deviation. The most probable diagnosis Is -
1. Total anomalous pulmonary venous drainge
2. Tricuspid atresia
3. Ostium primum atrial septal defect.
4. Ventricular septal defect with pulmonary arterial hypertension

Correct answer: 3. Ostium primum atrial septal defect.

Explanation: Examination Usually reveals a prominent RV impulse and palpable pulmonary artery pulsation. Midsystolic pulmonary outflow murmur. The second heart sound is widely split and is relatively fixed in relation to respiration. A mid-diastolic rumbling murmur, loudest at the fourth intercostal space and along the left sternal border Electrocardiogram In ostium primum ASD, the RV conduction defect is accompanied by left superior axis deviation and counterclockwise rotation of the frontal plane QRS loop. Varying degrees of RV and right atrial (RA) enlargement or hypertrophy may occur (Harrison's Principles of internal medicine, 18 th edition, page 1922 )